which of the following is not true regarding tri cyclic antidepressent
1. it is safe in bipolar depression as it does not cause switch to mania
2. it causes sedation
3. it causes weigh tgain
4. it causes giddiness

Correct answer: 1. it is safe in bipolar depression as it does not cause switch to mania

Explanation: TCA * MECHANISM This is an antidepressant with three rings. It acts by blocking the transporters of neurotransmitters resulting in increased neurotransmitters in synapse DRUGS AMITRYPTILLINE IMIPRAMINE CLOMIPRAMINE DESIPRAMINE NORIPTILLINE DOXEPINE * USE AMITRYPTILLINE========PAIN WITH DEPRESSION IMIPRAMINE==========CHILDHOOD ENEURESIS CLOMIPRAMINE========OCD * SIDE EFFECTS ANTI HISTAMINERGIC==== sedation, weight gain ANTI MUSCURANIC=======dryness of mouth ANTI ADRENERGIC========hypotension, giddiness SWITCH TO MANIA when used in BIPOLAR DEPRESSION Ref. kaplon and sadock, synopsis of psychiatry, 11 th edition, 955